Diagnostic power of the test is reflected by-
1. Sensitivity
2. Specificity
3. Reliability
4. Predictivity

Correct answer: 4. Predictivity

Explanation: Ref:Parks 25th edition pg 153 Predictive value reflects the diagnostic power of a test. Positive predictive value indicates the probability that a patient with a positive test result has, in fact, the disease in question. The more prevalent disease in a given population, the more accurate will be the predictive value of a positive screening test. As prevalence decrease, positive predictive value decreases.